Osmotic pressure of 1 mol of ideal solute relative to pure water is
1. 6.5 atm.
2. 22.4 atm.
3. 4 atm.
4. 2 atm.

Correct answer: 2. 22.4 atm.

Explanation: According to the Van't Hoff equation, an ideal solution containing 1 mole of dissolved particles per liter of solvent at 0deg C will have an osmotic pressure of 22.4 atm Ref guyton and hall textbook of medical physiology 12/e pg159